Most common complication of mid shaft humerus fracture is -
1. Radial nerve palsy
2. Median nerve palsy
3. Nonunion
4. Malunion

Correct answer: 1. Radial nerve palsy

Explanation: Ans. is 'a' i.e., Radial nerve palsy Complications of humerus shaft fractureNerve injury : - Radial nerve is the most commonly injured nerve in fracture shaft humerus. It is particularly common in oblique fractures at the junction of middle and distal third of the bone (Holstein- Lews fracture).Vascular injury : - Brachial artery damage.Delayed union or non-union : - Delayed union or non-union may occur, especially in transverse fracture of the midshaft. The cause of non-union is distraction at fracture site due to gravity and weight of plaster.Joint stiffness : - Shoulder & elbow stiffness.